Bile acids consist of all EXCEPT
1. Lithocholic acid
2. Taurocholic acid
3. Deoxycholic acid
4. Chendeoxycholic acid

Correct answer: 2. Taurocholic acid

Explanation: Taurocholic acidREF: Ganong 22' ed chapter26* The bile salts are sodium and potassium salts of bile acids, and all those secreted into the bile are conjugated to glycine or taurine, a derivative of cysteine. The bile acids are synthesized from cholesterolThe two principal (primary) bile acids formed in the liver are cholic acid and chenodeoxycholic acid.In the colon, bacteria convert cholic acid to deoxycholic acid and chenodeoxycholic acid to lithocholic acid. Since they are formed by bacterial action, deoxycholic acid and lithocholic acid are called secondary bile acids.